Lupus vulgaris is –
1. Tuberculosis of skin
2. Basal cell CA
3. Squamous cell CA
4. Fox bite

Correct answer: 1. Tuberculosis of skin